A 13 year old boy has bilateral gynecomastia. i is height is 148 cm, weight 58 kg; the sexual maturity rating is stage 2. The gynecomastia is most likely due to –
1. Prolactinoma
2. Testicular tumour
3. Pubertal gynecomastia
4. Chronic liver disease

Correct answer: 3. Pubertal gynecomastia